HTLV-1 causes which of the following?
1. Tropical spastic paraparesis
2. Familial medeterranian fever
3. Cutaneous T cell lymphoma
4. burkitts lymphoma

Correct answer: 1. Tropical spastic paraparesis

Explanation: HTLV1 causes tropical spastic paraparesis&adult T cell leukemia REF:MICROBIOLOGY ANANTHA NARAYANAN NINTH EDITION PAGE.567